Skin at the level of umbilicus is supplied by the spinal nerve
1. T 9
2. T 10
3. T 11
4. T 12

Correct answer: 2. T 10

Explanation: The dermatome T10 is at the level of Umbilicus.The area of skin supplied by a dorsal root of a spinal nerve is called as "Dermatome".They represent specific regions of reception of sensory impulses.Reference: Chaurasia; 6th edition